Nikshay software is used for
1. Filaria
2. Malaria
3. Kala azar
4. Tuberculosis

Correct answer: 4. Tuberculosis

Explanation: Nikshay software is a web based solution for monitoring TB patients under Revised National Tuberculosis Control Programme (RNTCP). It was developed by National Informatics Center (NIC).